At the end of a balanced anaesthesia technique with non–depolarizing muscle relaxant, a patient recovered spontaneously from the effect of muscle relaxant without any reversal. Which is the most probable relaxant the patient had received –
1. Pancuronium
2. Gallamine
3. Atracurium
4. Vecuronium

Correct answer: 3. Atracurium